Septal perforation is NOT seen in?
1. Septal abscess
2. Leprosy
3. Rhinophyma
4. Trauma

Correct answer: 3. Rhinophyma

Explanation: Trauma is the most common cause for septal perforation. Pathological perforations can be caused by: Septal abscess Nasal myiasis Rhinolith or neglected foreign body causing pressure necrosis. Chronic granulomatous conditions like lupus, tuberculosis and leprosy cause perforation in the cartilaginous part while syphilis involves bony part. Wegener's granuloma is a midline destructive lesion which may cause total septal destruction. Perforation caused by drugs and chemicals: Prolonged use of steroid spray. Cocaine addicts Workers in chromium plating,dichromate or soda ash manufacture or those exposed to arsenic or its compounds. Rhinophyma or potato tumour is a slow growing benign tumour due to hypertrophy of the sebaceous glands of the tip of the nose often seen in cases of long standing acne rosacea. It will not cause septal perforation.